True about late-onset schizophrenia-
1. Onset after 45 yrs
2. Onset between 25-30 yrs
3. Prognosis is poor
4. Olfactory halucinations are common

Correct answer: 1. Onset after 45 yrs

Explanation: To diagnose late-onset schizophrenia, the patient should meet the DSM IV criteria for schizophrenia (including duration of at least 6 months) with the additional requirement that the onset of symptoms (including the prodrome) be at or above age 45. The prototypical patient is a middle-aged or elderly person who functioned moderately well through early adulthood (despite some premorbid schizoid or paranoid personality traits) and who exhibits persecutory delusions and auditory hallucinations and shows some improvement in positive symptoms with low-dose neuroleptic therapy, yet has a chronic course.